All of the following conditions affect posterior part of larynx except:
1. Contact ulcer
2. Pachydermia laryngis
3. Intubation granuloma
4. Lupus

Correct answer: 4. Lupus

Explanation: Lupus affects anterior part of larynx. It starts at the epiglottis and sspreads posteriorly to involve aryepiglottic folds. Slow indolent and symptomless destruction of epiglottis may occur. Lupus of larynx is secondary to lupus of nose and pharynx.Contact ulcer occurs at vocal process of arytenoid when one vocal process hammers against another traumatising the overlying mucosa and formation of a granuloma. It is due to vocal abuse.Pachydermia laryngis is a form of chronic hypertrophic laryngitis. It involves interarytenoid region and both vocal processes of arytenoid where grey or red papilliferous lesions are seen. Biopsy is essential to differentiate from tuberculosis and malignancy.Intubation granuloma is also seen in the area of vocal processes and is due to prolonged rough intubation or using a large tube. Trauma of tube ulcerates mucosa with the formation of a granuloma.